Absence of sesamoid bone in girl of age about normal range of puberty is said to have:
1. Completed the growth
2. Overgrowth
3. Delay in reaching puberty
4. All of the above

Correct answer: 3. Delay in reaching puberty

Explanation: PHV-Peak height velocity occurs approximately at 12 years in girls and 14 years in boys and ossification of ulnar sesamoid of hand occurs roughly 6 months before the PHV. 
Key Concept: 
The absence or delayed presence of sesamoid bone is due to delay in reaching puberty.